Sclerotic bodies is seen -
1. Sporothrix
2. Blastomycosis
3. Chromoblastomycosis
4. Coccidiodes

Correct answer: 3. Chromoblastomycosis